Puttiplat operation is done for ?
1. Elbow instability
2. Shoulder instability
3. Rotator cuff tear
4. Biceps Tendinitis

Correct answer: 2. Shoulder instability

Explanation: Ans. is 'b' i.e., Shoulder instability